Additional protien and calorie requirement in pregnancy is?
1. 50 kcal/ day calorie, 10 g/day protein
2. 100 kcal/ day calorie, 20 g/day protein
3. 300 kcal/ day calorie, 30 g/day protein
4. 500 kcal/ day calorie, 50 g/day protein

Correct answer: 3. 300 kcal/ day calorie, 30 g/day protein

Explanation: 300 kcal/ day calorie, 30 g/day protein REF: William's 22nd edition chapter 8, COGT 10th edition table 9-1 Recommended Daily Dietary Allowances for Nonpregnant, Pregnant, and Lactating Women: Nonpregnant Women (years) Pregnant Women Lactating Women 15-18 19-24 25-50 50+ Energy (kcal) 2100 2100 2100 2000 +300 +500 Protein (g) 48 46 46 46 +30 +20 Fat-soluble vitamins Vitamin A (RE)/(IU) 800 800 800 800 800 1300 Vitamin D (IU) 400 400 200 200 400 400 Vitamin E (IU) 8 8 8 8 10 12 Water-soluble vitamins Vitamin C (mg) 60 60 60 60 70 95 Folate (g) 180 180 180 180 400 280 Niacin (mg) 15 15 15 13 17 20 Riboflavin (mg) 1.3 1.3 1.3 1.2 1.6 1.8 Thiamine (mg) 1.1 1.1 1.1 1.0 1.5 1.6 Vitamin B6 (mg) 1.5 1.6 1.6 1.6 2.2 2.1 Vitamin B12 (g) 2 2 2 2 2.2 2.6 Nonpregnant Women (years) Pregnant Women Lactating Women 15-18 19-24 25-50 50+ Minerals Calcium (mg) 1300 1000 1000 1200 1000 1000 Iodine (g) 150 150 150 150 175 200 Iron (mg) 15 15 15 10 30 15 Magnesium (mg) 300 280 280 280 300 355 Phosphorus (mg) 1200 800 800 800 1200 1200 Zinc (mg) 12 12 12 12 15 19